Which of the following structure passes through inferior orbital fissure?
1. Abducent nerve
2. Lacrimal nerve
3. Infraorbital nerve
4. Oculomotor nerve

Correct answer: 3. Infraorbital nerve

Explanation: Ans. C. Infraorbital nerveThe medial wall and the floor of the orbit are separated posteriorly by the inferior orbital fissure.It transmits the:a. Infra-orbital nerve (from the maxillary division of trigeminal nerve)b. Zygomatic nerve (from the maxillary division of trigeminal nerve)c. A branch of the inferior ophthalmic vein and several emissary veins connecting it to the pterygoid venous plexusd. Infra-orbital artery (from the maxillary artery) and veine. Orbital ganglionic branches of the pterygopalatine ganglion from the maxillary division of the trigeminal nerve